Action of flumazenil on benzodiazepine receptor is :
1. Agonist
2. Partial agonist
3. Inverse agonist
4. Antagonist

Correct answer: 4. Antagonist